The sterilization method for catgut suture
1. Steam
2. Radiation
3. Boiling
4. Burning

Correct answer: 2. Radiation

Explanation: Ans. (b) Radiation Sterlisation of Materials Important Materials Methods of sterilisation and disinfection 1 Glasswares-syringes, Petri dishes, test tubes, flasks, surgical instrument; oily fluids and powders Hot air oven 2. Serum, body fluids, bacterial vaccines Waterbath, vaccine bath 3. Milk Pasteurisation, 63degC x 30 min. or 72degC x 20 sec 4. Cystoscope and endoscope Glutaraldehyde (Cidex-2%) or ethylene oxide 5. Most of the culture media Autoclaving 6. Culture media containing egg, serum or sugar Tyndallisation 7. Rubber, plastic and polythene tubes, disposable syringes Glutaradehyde, ethylene oxide gas 8. Dressings, aprons, gloves, catheters surgical instruments except sharp instruments. Autoclaving 9. Sharp instruments 5% cresol 10.Suture materials except catgut Autoclaving 11.Catgut Ionising radiation 12. Rubber or plastic disposable goods, disposable syringes, bone and tissue graft, adhesive dressings Ionising radiation 13. Faeces and urine, vomitus sputum Bleaching powder, cresols, formatin, burning, autoclaving, boiling 14.Sterilisation of operation theatre Formaldehyde gas 15. Wards and laboratory or operation theatre floor space Formaldehyde gas and cresols (Lysol) 16. Skin Tincture iodine, spirit (70% ethanol), Savlon (phenol derivative).